Not a DNA oncovirus -
1. HSV-2
2. HPV
3. HTLV
4. HBV

Correct answer: 3. HTLV

Explanation: Ans. is 'c' i.e., HTLV * Many viruses have been implicated in the causation of cancers :A) RNA viruses# All oncogenic RNA viruses belong to family retroviriadae (retroviruses).# Important examples are Avian leukosis virus, murine leukosis virus, murine mammary tumor virus, HIV (causing AIDS related malignancies) and Human-T-cell leukemia virus (causing Adult T-cell leukemia).B) DNA viruses# DNA viruses causing cancers are :-1) Papillomaviridae (HPV): Causes genital tumors, SCC and oropharyngeal carcinoma.2) Herpesviridae : These viruses are :i) HSV-2 : Causes cervical carcinoma.ii) EBV: Causes nasopharyngeal carcinoma and Burkitt's lymphoma.iii) HHV-8 : It causes Kaposis sarcoma.3) Hepadnaviridae (HBV) : It causes hepatocellular carcinoma.4) Flaviviridae (HCV): It causes hepatocellular carcinoma.